Phleboliths are seen in
1. Dental Pulp
2. Salivary Gland duct
3. Cavernous Hemangiomas
4. Subepithelial Bulla

Correct answer: 3. Cavernous Hemangiomas